Surface marking of internal jugular vein by joining two points between?
1. Medial end of clavicle to point on neck medial to lobule of ear
2. Upper part of the sternal end of the clavicle to a point midway between the tip of the mastoid process and the angle of the mandible
3. Sternoclavicular articulation to the middle of the clavicle
4. Angle of the mandible to the middle of the clavivel

Correct answer: 1. Medial end of clavicle to point on neck medial to lobule of ear

Explanation: Internal jugular vein is marked by a broad line by joining these two points. a. The first point on the neck medial to the lobule of the ear. b. The second point at the medial end of the clavicle. The lower bulb of the vein lies beneath the lesser supraclavicular fossa between the sternal and clavicular heads of the sternocleidomastoid muscle. Ref: BD Chaurasia's HUMAN ANATOMY, Volume 3, 4th edition.